Flaccid bullae lesions with oral mucosal lesions. The finding in immunoflourescence is –
1. Fish net IgG in epidermis
2. Linear IgG in DEJ
3. Granular IgA in dermal papillae
4. Linear IgA in reticular dermis

Correct answer: 1. Fish net IgG in epidermis

Explanation: Flaccid bullae with involvement of oral mucosa suggest the diagnosis of pemphigus vulgaris.
In pamphigus, there is intercellular deposition of IgG in fish-net pattern.